In syndrome X, patients have all of the following except -
1. Angina like chest pain
2. Ischemic ST segment depression
3. Abnormal coronary arteriogram
4. Excellent prognosis

Correct answer: 3. Abnormal coronary arteriogram